A 29-year-old man comes in with a stab wound, cannot raise his arm above horizontal, and exhibits a condition known as "winged scapula." Which of the following structures of the brachial plexus would most likely be damaged?
1. Medial cord
2. Posterior cord
3. Lower trunk
4. Roots

Correct answer: 4. Roots

Explanation: Winged scapula is caused by paralysis of the serratus anterior muscle that results from damage to the long thoracic nerve, which arises from the roots of the brachial plexus (C5-C7)